Clinical manifestations of bronchogenic carcinoma include the following except
1. Hoarseness of voice due to involvement of left recurrent laryngeal nerve
2. Horner's syndrome
3. Diaphragmatic palsy due to infiltration of phrenic nerve
4. Gastroparesis due to vagal involvement

Correct answer: 4. Gastroparesis due to vagal involvement

Explanation: Invasion of the mediastinum may result in hoarseness (because of recurrent laryngeal nerve involvement), dysphagia (because of the involvement of, or extrinsic pressure on, the oesophagus) and superior vena caval obstruction.It can also result in Horner's syndrome due to involvement of sympathetic chain.Infiltration of phrenic nerve occurs producing diaphragmatic palsy.